Which of the following is not a type of balance in complete denture occlusion.
1. Bilateral lever balance
2. Unilateral occlusal balance
3. Bilateral occlusal balance
4. Protrusive occlusal balance

Correct answer: 1. Bilateral lever balance

Explanation: Apart from other options, unilateral lever balance is a type of balance in complete denture occlusion.